Which of the following liver enzymes is predominantly mitochondrial:
1. SGOT (AST)
2. SGPT (ALT)
3. GGT
4. Nucleotidase

Correct answer: 1. SGOT (AST)

Explanation: A i.e. SGOT (AST)Glutamate dehydrogenase (GDH) and aparate aminotransferase (AST)/or serum glutamate oxaloacetate transaminase (SGOT)Q mitochondrial isoenzyme, are liver enzymes predominantly present in mitochidrial matrix.AST (or SGOT) exists in genetically distinct 2 different forms which are named a/t their location: (1) Mitochondrial isoenzyme (80%) is responsible for maximum AST activity of liver and ; (2) Cytosolic or cytoplasmic isoenzyme (20%) is responsible for most of circulating AST activity.AST (SCOT) is found in maximum concentration in Heart. ("Mn She GOT Heart") and then in liver, skeletal muscle and kidney. So elevated levels of mitochondrial AST or mitochondrial AST/Total AST ratio is indicative of necrosis of cells containing AST (and thus causing cellular leak) eg heart cell necrosis in MI or liver cell necrosis in chronic liver disease.SCOT (AST) and SGPT (ALT) both are found in most tissues but their relative amounts vary. Heart muscles are richer in SGOT whereas liver is richer in SGPTQ.